Trendelenberg sign is positive in paralysis of all except:
1. Gluteus medius
2. Gluteus minimus
3. Gluteus maximus
4. Tensor facia lata

Correct answer: 3. Gluteus maximus

Explanation: C i.e. Gluteus maximusGluteus medius and gluteus minimus muscles are dominantly (mainly) supplied by superior gluteal artery(deep branch); and gluteus maximus by inferior gluteal artery.The arteries of gluteal region arise directly or indirectly, from internal iliac artery. The main branches include 1) superior gluteal 2) inferior gluteal and 3) internal pudendal artery. Superior gluteal artery is the largest branch and supplies most of gluteus medius & minimus and superior part of TFL (by deep branch) and 1/3,d of gluteus maximus (by superficial branch). Whereas the inferior gluteal artery supplies most (2/3n9 of the gluteus maximus.Abductors of hip are - 'Short Tense Middle class Men' i.e. Sartorius , Tensor fascia lata (both are accessory); Medius gluteus , Minimums gluteus (both are main abductors) and trendelenburg test is positive in defective abductor mechanism In paralysis of gluteus medius & minimus (i.e. injury to superior gluteal nerve) trendelenburg sign is positive not in paralysis of gluteus maximus (i.e. inferior gluteal nerve)Q